Run-Amok is a feature of :
1. Opium
2. Dhatura
3. Cannabis
4. Alcohal

Correct answer: 3. Cannabis

Explanation: Ans. is 'c' ie Cannabis Run-amok: is a condition resulting from the continued use of cannabis or even its consumption for the first time.It is characterized by a frenzied desire to commit murders.A number of individuals are killed, the first ones being those against whom the assailant has some real or imaginary enmity, followed by others who are in the way, until the homicidal tendency lasts. The person may then commit suicide or surrender himself to the police.There are four important forms of cannabis used in India.They all are derived from different parts of the same plant:Bhang - derived from dried leaves & fruit shoots*Ganja - Consists of dried flowering tops*Charas - consists of resinous exudate from the leaves and stems of the plant* (also k/a hashish)Majun - its a sweetmeat made with bhang, flour, milk and butter.Active ingredient of cannabis * - Tetrahydrocannabinol (THC)*.